Which of the following is the investigation of choice in assessing hearing loss in neonates?
1. Impedance audiometry
2. BAER
3. Free field audiometry
4. Behavioral audiometry

Correct answer: 2. BAER

Explanation: * The Brainstem auditory evoked response (BAER) test measures responses in brain waves that are stimulated by a clicking sound to check the central auditory (Hearing) pathways of the brainstem. The test can be done for all ages. * Infant test or (Birth to 1 year) * Toddler test or (1 to 3 years) * Preschooler Test or (3 to 6 years) * School age test or (6- 12 years) * Adolescent test (12 to 18 years) ' * The test is performed to help diagnose nervous system abnormalities, hearing losses (especially in low-birth weight newborns), and to assess neurologic functions. * The auditory brain stem values are in a normal range. * This range varies among patients and instruments used. * In a normal person, 7 waves are produced in the first 100 milliseconds